All of the following transport process follow 'saturation kinetics' except:
1. Facilitated diffusion
2. Na+ - Cat. exchanger
3. Simple diffusion
4. Na+ coupled active transport

Correct answer: 3. Simple diffusion

Explanation: C i.e. Simple diffusionThe rate of diffusion in simple diffusion keeps on increasing proportionately with the concentration of the diffusing substance and does not follow saturation kinetics.While in other transport mechanism, the rate of diffusion approaches a maximum, called Vmax, as the concentration of substance increases and then pleateu's off i.e. attains saturation at a particular level. This is called saturation kinetics mechanismQ.Saturation kinetics will be seen in any transport process which involves carrier proteins eg. facilitated diffusion and active transportQ.- The rate at which a substance can be transported by these mechanism depends upon the rate at which the carrier protein can undergo conformational change between its active state & inactive state.- So the rate at which molecules can be transported by this mechanism can never be greater than the rate at which the carrier protein undergoes conformational change.- This limits the rate of transport in these process.